The main danger with low tension alternating current is
1. Myoglobinuria
2. Cardiac arrest
3. Renal failures
4. Burns

Correct answer: 2. Cardiac arrest

Explanation: The main danger with alternative current injuries is from alternating current interactions with normal cardiac pacing It can cause cardiac arrest. The electricity itself doesn't usually cause significant underlying myocardial damage. So resuscitation if successful should be lasting. Ref: Bailey and love 27th edition Pg no : 631